100 % bioavailability is seen with which route
1. Oral
2. Intravenous
3. Rectal
4. Subcutaneous

Correct answer: 2. Intravenous

Explanation: • Bioavailability is defined as the fraction of unchanged drug reaching the systemic circulation following administration by any route.
In case a drug is given orally, the bioavailability shall be less than 100%. This is due to
■ The incomplete extent of absorption
■ First pass metabolism
Routes of Administration, Bioavailability, and General Characteristics